A patient had an inferior wall myocardial infarction and was in shock. The reason for the patient being in shock is -
1. Mitral regurgitation
2. Infarction causing septal defect
3. Right ventricular infarction
4. Decreased ejection fraction from left ventricle

Correct answer: 3. Right ventricular infarction